For treatment of hypertriglyceridemia drug used in the primary stage -
1. Cholestyramine
2. Nicotinic acid
3. Gemfibrozil
4. Resins

Correct answer: 3. Gemfibrozil

Explanation: Ans. is 'c' i.e., Gemfibrozil Fibrates are drugs of choice for hypertriglyceridemia (type IV) and chylomicronemia (type I). Goodman & Gilman 11"'/e 958 o Fibrates are also the DOC for familial dysbetalipoproteinemia. o Statins are DOC for hypercholesterolemia (type II) and familial combined hyperlipademia (type V).-- Laurence 9th/e 525